Gross debridement, lubrication, microbial destruction and tissue dissolution are done by this irrigating solution
1. Sodium hypochlorite
2. Normal saline
3. RC prep
4. Hydrogen peroxide

Correct answer: 1. Sodium hypochlorite